A mother brought her 18 month boy to the pediatrician, with the complaint that her son did not have any teeth till now. All of the following can be the underlying causes EXCEPT:
1. Pierre Robin sequence
2. Cleidocranial dysostosis
3. Rickets
4. Hypothyroidism

Correct answer: 1. Pierre Robin sequence

Explanation: Delayed Dentition QDef: When no Teeth Erupts By 13 Months of Age Important Causes Mnemonic - "FRIED Chop" - Familial - Rickets - Idiopathic - Endocrine (3 "hypos") 1. Hypo-pituitarism 2. Hypo-thyroidism 3. Hypo-parathyroidism - Down Syndrome - Cleido-cranial dysotosis (clavicles absent, large anterior fontanelle, supernumerary teeth)